A 3-month-old male child with normal genitalia presents to the emergency department with severe dehydration, hyperkalemia, and hyponatremia. The measurement blood levels of which of the following will be helpful?
1. Renin
2. Cortisol
3. Aldosterone
4. 17-hydroxy progesterone

Correct answer: 4. 17-hydroxy progesterone